The investigation of choice for Renal Scarring defect in Kidney is –
1. DMSA scan
2. DTPA scan
3. DEXA scan
4. MCU

Correct answer: 1. DMSA scan

Explanation: Renal scarring (e.g. in reflex nephropathy) is best assessed by Tc-99-D11ISA scintigraphy which is static renal scintigraphy for assessment of structure of kidney.